Disease(s) transmitted by Aedes aegypti include – a) Yellow feverb) Denguec) Chikungunya feverd) West Nile fever e) Rift valley fever
1. bcde
2. abcd
3. acde
4. abce

Correct answer: 4. abce